A patient suffering from AIDS presents with a history of dyspnea and non-productive cough x-ray shows bilateral perihilar opacities without pleural effusion and lymphadenopathy. Most probable etiological agent is –
1. Tuberculosis
2. CMV
3. Kaposis sarcoma
4. Pneumocystis carinii

Correct answer: 4. Pneumocystis carinii

Explanation: Dyspnea with a nonproductive cough, and bilateral perihilar opacities without pleural effusion and lymphadenopathy, in an AIDS patient suggest the diagnosis of P. Carinii pneumonia.
In TB, cough is productive (with sputum) and there is associated lymphadenopathy. Pleural effusion may also occur.